Ormand's disease is
1. Retractile testis
2. Idiopathic retroperitoneal fibrosis
3. Idiopathic retroperitoneal lymphadenopathy
4. Idiopathic mediastinitis

Correct answer: 2. Idiopathic retroperitoneal fibrosis

Explanation: Ans. b (Idiopathic retroperitoneal fibrosis) (Ref. Bailey and Love surgery 25th/pg. 1007)RETROPERITONEAL FIBROSIS (RPF) / ORMAND'S DISEASE# This is one of a group of fibromatoses (others being Dupuytren's contracture and Peyronie's disease).# This process was first identified in 1905 by Albarran who encountered a patient with an extensive fibrotic retroperitoneal process at surgery.# Causes of retroperitoneal fibrosis: Idiopathic (Ormond's disease), Chronic inflammation, Extravasation of urine, Retroperitoneal irritation by leakage of blood or intestinal Content, Aortic aneurysm ('inflammatory type'), Trauma, Drugs: Chemotherapeutic agents Methysergide Beta-Adrenoceptor antagonists, Lymphoma, Carcinoid tumours, Secondary deposits (especially from carcinoma of stomach, colon, breast and prostate)# Most cases are idiopathic.# It is most commonly observed in middle-aged to elderly men between the ages of 40 and 70.# Familial cases are known, involving mediastinal fibrosis, sclerosing cholangitis, Riedel's thyroiditis and orbital pseudotumour. Extensive collagen deposition surrounds the ureters, mostly at the level of the pelvic brim or below. Most patients present with ureteric obstruction, often with renal failure.# The hallmark IVU feature of RPF is deviation of both ureters medial to the lumbar vertebral pedicles.0# Multislice CT remains the standard imaging employed to evaluate patients in whom RPF is suspected.# Ureteric stenting and steroid therapy are often effective.